The time interval between invasion of the infection agent and appearance of the first sign or symptom
1. Serial interval
2. Incubation period
3. Quarantine
4. Period of infectivity

Correct answer: 2. Incubation period

Explanation: An infection becomes apparent only after a certain incubation period which is defined as the time interval between invasion by an epidemiological agent and the appearance of first sign or symptoms. During the incubation period, the infectious agent undergoes multiplication in the host. Ref: 25th edition, Park's Textbook of Preventive and Social Medicine, Page no. 107